Anaesthetic agent which is explosive in the presence of cautery:
1. Nitrous oxide
2. Ether
3. Trilene
4. Halothane

Correct answer: 2. Ether

Explanation: Ans. (B) Ether(Ref: Goodman & Gilman 11th/e p341; KDT 8th/e p405)Ether is an explosive agent and should not be used with cautery.